Spondylolysis is more common in:
1. Intervertebral disc
2. Anterior part
3. Pars interarticularis
4. Annulus fibrosus

Correct answer: 3. Pars interarticularis

Explanation: Ans. C: Pars Interarticularis Normally the inferior articulating fact of each lumbar vertebral body lies posterior to the superior articulating facet of the body below it. If the bony connection between the inferior and superior articulating facets (pars interarticularis) is defective, the weight of the body may cause the upper vertebra, including all of the vertebral bodies above it, to slip forward for varying amounts on the body below (spondylolisthesis) The defect in the pars interarticularis is called spondylolysis Spondylolysis is not present at birth but increases in frequency with increasing age. When symptomatic, pain is the most frequent symptom of either spondylolysis or spondylolisthesis There are several different etiologies for spondylolisthesis: Spondylolytic spondylolisthesis is the most common type and results from bilateral defects in the pars interarticularis. Degenerative spondylolisthesis -Most frequent at the L4-L5 level It is not the result of a pars defect but a complex interaction between the disk, facets joints and the ligamentous structures Dysplastic spondylolisthesis-Results from congenital abnormalities of the body and/or facets in the lumbar region such that the alignment of the facets allows spondylolisthesis to occur. The pars may or may not be intact Traumatic spondylolisthesis-Trauma can lead to an acute fracture through a normal pars interarticularis. Conventional radiography in the anteroposterior, lateral and both oblique projections is usually adequate to demonstrate both spondylolysis and spondylolisthesis Spondylolysis appears as a break in the "neck" of the Scottie Dog on the oblique view